Impetigo contageosa most commonly due to –
1. Group B streptococcus
2. Staphylococci
3. Moniliasis
4. Streptococcus viridans

Correct answer: 2. Staphylococci

Explanation: Impetigo contagiosa is caused most often by staph aureus and in some cases by group 'A' streptococci.